Which of the following is a side effect of streptomycin?
1. Phototoxicity
2. Hepatotoxicity
3. Ototoxicity
4. All of the above

Correct answer: 3. Ototoxicity

Explanation: Ans. is 'c' i.e., Ototoxicity